Inclusion bodies are not seen in
1. CMV
2. EBV
3. HSV
4. Rabies

Correct answer: 2. EBV

Explanation: Inclusion bodies seen in - CMV, HSV, Rabies, small pox, trachoma, Molluscum Contagiosum, yello fever, adenovirus, poliovirus, measles virus